Which of the following cardiovascular change is abnormal in pregnancy:a) Enlarged cardiac silhouetteb) Increased S1 splitc) Right axis deviation on ECGd) Early diastolic murmure) HR increased by 10 to 15 per minute
1. ab
2. bc
3. cd
4. ac

Correct answer: 3. cd